Which of the  following enzyme is not regulated by calcium or calmodulin?
1. Adenylate cyclase
2. Glycogen synthase
3. Guanylyl cyclase
4. Hexokinase

Correct answer: 4. Hexokinase

Explanation: Calmodulin  mediated  action  of  Ca2+ : Calmodulin (mol.  wt.  17,000) is  a  calcium binding  regulatory  protein.  Ca-calmodulin complex  activates  certain  enzymes 
e.g. adenylate cyclase,  Ca2+  dependent  protein kinases.
Ref: Satyanrayana, Ed 3, page no 405